Part I of the 'death certificate' deals with
1. Immediate cause, and the direct underlying cause which started the whole trend of events leading to death
2. Any significant associated diseases that contributed to the death but did not directly lead to it.
3. Approximate interval between onset and cause of death.
4. The mode of death

Correct answer: 1. Immediate cause, and the direct underlying cause which started the whole trend of events leading to death

Explanation: According to death certificate recommended by WHO for international use, Part I deals with the immediate cause, and the direct underlying cause (the essence of international death certificate) which started the whole trend of events leading to death. But it does not include the mode of dying. In part II is recorded any significant associated disease that contributed to the death but did not directly lead to it.